A person has fever and pain in thyroid gland. True statement is/are:
1. Etiology is tubercular
2. T
3
 & T
4
 levels are normal
3. Increased ESR
4. Increased TSH

Correct answer: 3. Increased ESR